Volume determining preload is
1. End diastolic volume of ventricles
2. End systolic volume
3. Volume of blood in aorta
4. Ventricular ejection volume

Correct answer: 1. End diastolic volume of ventricles

Explanation: Ans. (a) End diastolic volume of ventriclesRef: Ganong, 25th ed/p.544Preload is End diastolic volume of ventriclesAfterload is the aortic pressure